A FALSE belief unexaplanied by reality, shared by a number of people is
1. Illusion
2. Obsession
3. Superstition
4. Delusion

Correct answer: 3. Superstition

Explanation: (C) Superstition # Superstition: A false belief unexplained by reality, shared by a number of people. Superstition is a belief in supernatural causality: that one event leads to the cause of another without any process in the physical world linking the two events.> An illusion is a distortion of the senses, revealing how the brain normally organizes and interprets sensory stimulation.\> Obsession: Compulsive preoccupation with a fixed idea or an unwanted feeling or emotion, often accompanied by symptoms of anxiety.> Delusion is a false belief held with absolute conviction despite superior evidence. Unlike hallucinations, delusions are always pathological (the result of an illness or illness process). As a pathology, it is distinct from a belief based on false or incomplete information, dogma, poor memory, illusion, or other effects of perception.